The typical CSF profile in cases of viral meningitis after 48 hours of onset is -
1. Lymphocytic pleocytosis, normal glucose level, normal or slightly elevated protein level
2. Neutrophilic pleocytosis, raised glucose level normal protein level
3. Lymphocytic pleocytosis, low glucose level, low protein level
4. Neutrophilic pleocytosis, normal glucose level, elevated protein level

Correct answer: 1. Lymphocytic pleocytosis, normal glucose level, normal or slightly elevated protein level